The posterolateral lesion in the head of humerus in cases of recurrent anterior shoulder dislocation is:
1. Bankart's lesion
2. Hill-Sachs lesion
3. Reverse Hill-Sachs lesion
4. Greater tuberosity avulsion fracture

Correct answer: 2. Hill-Sachs lesion

Explanation: Complication of shoulder dislocation: Bankart's anterior glenoid labrum: anterior tear in anterior dislocation Hill Sach's at head of Humerus: posterolateral defect in anterior dislocation Reverse Hill Sach's - anteromedial defect in posterior dislocation Light bulb signis seen on AP radiographs in theposterior dislocation shoulder, where the humerus head appears as a light bulb Note-M/c complication of ant. dislocation of shoulder is reccurent shoulder disclocation